Behaviour modification includes
1. Desensitization
2. Modeling
3. Contingency management
4. All of the above

Correct answer: 4. All of the above